All are diagnostic criteria for 'severe acute malnutrition' (SAM) except?
1. Mid-upper arm circumference (MUAC) <115 mm
2. Weight for age <-3 Z score
3. Presence of bipedal edema
4. Presence of visible severe wasting

Correct answer: 2. Weight for age <-3 Z score

Explanation: SAM in a child 6m-5yr is presence of 1 or more of: A. Weight for height <-3 z score or <70% of expected B. Symmetrical bipedal edema of nutritional origin C. Visible severe wasting D. Mid upper arm circumference <11.5cm or 115mm